Which among the following protein is having Rossmann fold?
1. Lactate dehydrogenase
2. Collagen
3. Insulin
4. Glucagon

Correct answer: 1. Lactate dehydrogenase

Explanation: Lactate dehydrogenase is comprised of two domains, an N-terminal NAD+-binding domain and a C-terminal binding domain for the second substrate, pyruvate. Lactate dehydrogenase is one of the family of oxidoreductases that share a common N-terminal NAD(P)+-binding domain known as the Rossmann fold. By fusing the Rossmann fold domain to a variety of C-terminal domains, a large family of oxidoreductases have evolved that utilize NAD(P)+/NAD(P)H for the oxidation and reduction of a wide range of metabolites. Ref: Kennelly P.J., Rodwell V.W. (2011). Chapter 5. Proteins: Higher Orders of Structure. In D.A. Bender, K.M. Botham, P.A. Weil, P.J. Kennelly, R.K. Murray, V.W. Rodwell (Eds), Harper's Illustrated Biochemistry, 29e.